Positive predictive value is most affected by ?
1. Prevalence
2. Sensitivity
3. Specificity
4. Relative risk

Correct answer: 1. Prevalence

Explanation: Ans. is 'a' i.e., Prevalence